C
3
 convertase acts on -
1. C4b2b
2. C4b2B3 a
3. C4b
4. C3

Correct answer: 4. C3